In hereditary spherocytosis, an inherited abnormality is seen in which of the following red blood cell component?
1. a-globin chain
2. b-globin chain
3. Phosphatidyl inositol glycan A
4. Spectrin

Correct answer: 4. Spectrin

Explanation: Hereditary spherocytosis (HS) is caused by diverse mutations that lead to an insufficiency of membrane skeletal components. The pathogenic mutations most commonly affect ankyrin, band 3, spectrin, or band 4.2.